A patient with ITP has low platelet count and is being planned for splenectomy. What is the best time for platelet infusion in this patient?
1. After removal of spleen
2. After ligating the splenic artery
3. At the time of skin incision
4. 2 hours before surgery

Correct answer: 2. After ligating the splenic artery